Clinical significance of Vi antigen of S. typhi is:
1. Helps in diagnosis
2. Highly immunogenic
3. Most important antigen for widal test
4. Antibody against Vi-antigen is used for diagnosis of carrier

Correct answer: 4. Antibody against Vi-antigen is used for diagnosis of carrier

Explanation: Ans. is. 'd' i. e., Antibody against Vi-antigen is used for diagnosis of carrier